A 10-year-old child presents with a preauricular sinus. There is no discharge or inflammation. Similar sinus was also observed in his mother who got treated at the age of 30 years. What will be your line of management?
1. Education and observation of the patient
2. Order a sinogram after injection of a radiopaque dye
3. Order a CT in axial plane
4. Order an MRI to exclude a cyst

Correct answer: 1. Education and observation of the patient

Explanation: No treatment other than observation is advised. Further the patient should be educated that such sinus may get infected or form a cyst. Surgery is advised if sinus is symptomatic.